Child-Pugh's criteria does not include -
1. Encephalopathy
2. Ascites
3. Albumin
4. Creatinine

Correct answer: 4. Creatinine

Explanation: Ans. is 'd' i.e. Creatinine